Most common cause of congenital sensineuronal hearing loss ?
1. Parvovirus
2. CMV
3. Rubella
4. Toxoplasmosis

Correct answer: 2. CMV

Explanation: Ans. is'b'i.e., CMVCytomegalovirus -+ Most common viral cause of congenital viral deafnessMumps -+ Most common cause viral of acquired sensorineural hearing loss.